All of the following are indication of steroids in TB except?
1. Bone TB
2. Tubercular meningitis
3. Pericardial effusion
4. Massive pleural effusion

Correct answer: 1. Bone TB

Explanation: In the above conditions, steroids given as 1 mg/kg/day and paperd gradually over 6.8 weaks.